Universal antidote consists of:
1. Activated charcoal
2. Copper sulfate
3. Egg white
4. Starch

Correct answer: 1. Activated charcoal

Explanation: Ans. Activated charcoal